The unfamiliarity of familiar things is seen in -
1. Deja vu
2. Jamais vu
3. Deja entendu
4. Deja pence

Correct answer: 2. Jamais vu

Explanation: Deja vu:- Unfamiliar situations or events feel strangely familiar.
Jamais vu:- A feeling of strangeness to familiar situations or events.
Deja etendu:- Illusion that what one is hearing, one has heard previously.
Deja pense:- A unfamiliar thought regarded as a repetition of a previous thought.